The enzyme is the rate limiting enzyme in cholesterol synthesis is:
1. HMG CoA synthetase
2. HMG CoA reductase
3. HMG CoA lyase
4. Catalase

Correct answer: 2. HMG CoA reductase

Explanation: Ans. (b) HMG CoA reductaseRef: Harper's Biochemistry, 30th ed. pg. 267* HMG CoA reductase is the rate limiting ezyme in cholesterol synthesis.* HMG CoA Synthetase is involved in the formation of ketone bodies while HMG CoA lyase is involved also in the ketogenesis and also in the processing of leucine.* Catalase on the other hand is an oxidoreductase which is involved in the conversion of hydrogen peroxide to water and oxygen.